Which of the following is the current concept of clasp design of bar clasp?
1. I bar clasp
2. RPI system
3. RPA system
4. RPM system

Correct answer: 2. RPI system

Explanation: The RPI is a current concept of bar clasp design, and refers to the rest, proximal plate, and I bar component parts of the clasp assembly.